True about phobia are all, except:
1. Generalized anxiety
2. Avoiding particular situation
3. Fear and anxiety of specific thing
4. Insight is present

Correct answer: 1. Generalized anxiety

Explanation: Ans. Generalized anxiety